Feature (s) suggestive of schizophrenia rather than organic psychosis is/are -
1. Third person hallucination
2. Split personality
3. Visual hallucination
4. Altered sensorium

Correct answer: 1. Third person hallucination

Explanation: Third person hallucination is characteristic of schizophrenia.